Which of the following statements about Rheumatoid Factor is true -
1. It is an IgM antibody directed against IgG
2. It is an IgG antibody directed against IgM
3. It is more specific than Anti-CCP antibodies
4. It is positive in all cases of Juvenile Rheumatoid Arthritis

Correct answer: 1. It is an IgM antibody directed against IgG

Explanation: Rheumatoid factor in Rheumatoid Arthritis is an IgM antibody directed against the Fc fragment of IgG
Anti CCP antibodies are most specific blood test for rheumatoid arthritis (specificity ∼ 95%).
Rheumatoid factor is positive in only 10% of patients with JRA.